True about nerve injuries among following are:
1. Froment sign seen in median nerve palsy is due to Flexor pollicis longus action
2. Wartenburg sign is seen in median nerve palsy
3. Median nerve is also named as labourer's nerve
4. All lumbricals are supplied by median nerve

Correct answer: 3. Median nerve is also named as labourer's nerve

Explanation: Froment sign (Fig a-normal, b- positive) Seen in ulnar nerve palsy due to action of FPL which is supplied by median nerve. Wartenberg sign (c- normal, d- positive) Seen in ulnar nerve palsy and not median nerve palsy so this option is wrong. It is caused by an unopposed action of the ulnar insertion of the extensor digiti minimi(radial nerve innervation). It occurs due to paralysis of the palmar interosseous muscle that abducts the little finger. Only lateral two lumbricals are supplied by median nerve medial two lumbricals are supplied by ulnar nerve.